Increased level of SGOT is present primarily in:
1. Liver disease
2. Epilepsy
3. Addison disease
4. Uncontrolled diabetes

Correct answer: 1. Liver disease